Thymus develops from-
1. 4th arch
2. 2nd arch
3. 3rd arch
4. 6th arch

Correct answer: 3. 3rd arch

Explanation: C i.e. 3rd arch